Feulgen reaction is used to detect?
1. mRNA
2. rRNA
3. ssDNA
4. tRNA

Correct answer: 3. ssDNA

Explanation: Feulgen reaction is semi quantitative method to identify DNA(ss DNA,ds DNA any type of DNA).The staining intensity is directly proportional to DNA concentration